Which of the following increases the risk of salivary gland tumors?
1. Radiotherapy to head and neck
2. Exposure to silica dust
3. Early menarche and nulliparity
4. All of the above

Correct answer: 4. All of the above

Explanation: ETIOLOGY OF SALIVERY GLAND TUMORS - Radiotherapy to head and neck (for mucoepidermoid carcinoma) - EBV infection (for lymphoepithelial carcinoma) - Exposure to silica, dust, nitrosamines - Increased risk in females with early menarche and nulliparity - Trisomy 5 in primary mucoepidermoid carcinoma of minor salivary glands. - Polysomy of 3 and 17 especially in adenoid cystic carcinoma.